Retinoblastoma –
1. Is inherited in 50% of cases
2. Is caused by deletion of 11q14
3. Rosettes suggest good prognosis
4. Causes death in 60% of sufferers in the UK

Correct answer: 3. Rosettes suggest good prognosis

Explanation: Rosettes are feature of well differentiated retinoblastoma, therefore suggest the good prognosis.
Hereditary retinoblastoma accounts for 40% of cases and the gene is located at 13q14 chromosome.
Prognosis is fair with 70-85% survival rate if the eyeball is enucleated before the occurrence of extra ocular extension.